A 45-year-old woman is admitted to the hospital with neck pain. An MRI examination reveals a herniated disk in the cervical region. Physical examination reveals weakness in wrist extension and paranesthesia on the back of her arm and forearm. Which of the following spinal nerves is most likely injured?
1. C5
2. C6
3. C7
4. C8

Correct answer: 3. C7

Explanation: The seventh cervical nerve makes a major contribution to the radial nerve, and this nerve is the prime mover in wrist extension. The dermatome of C7 is in the region described.